Antidiabetic used safely in renal failure
1. Metformin
2. Glimeperide
3. Glibenclamide
4. Rosiglitazone

Correct answer: 4. Rosiglitazone

Explanation: Ans. is 'd' i.e., Rosigtitazone